Which of the following is NOT true about percussion:
1. Compare two sides
2. Movement at elbow
3. Middle finger should be used for percussion
4. Normal lung will be resonant

Correct answer: 2. Movement at elbow

Explanation: Ans. B i.e. Movement at elbow Technique of percussion The percussing finger is the middle finger of right hand (for right handed persons) Movement is at the right wrist joint and volume is increased by pushing harder on the chest with the percussed middle finger of left hand (aim for the middle phalanx). From right to left chest comparing the percussion notes between the two sides (including the clavicles and axillae.) Percussion should be performed over intercostal spaces, moving down the chest at intervals of 3-4 cm comparing both sides. Percuss down to the 6th rib anteriorly, the 8th rib in the axilla and the 10th rib posteriorly. Common findings: - Normal lung: Resonant - Pneumothorax: Hyper-resonant - Collapse/ consolidation: Dull - Pleural effusion: Stony/ Very dull - Abdomen: Tympanic Percussion is resonant over aerated lung and dull over solid organs such as the liver and heart (except in overinflated lungs where there is aerated lung between the heart and chest wall). Increased percussion resonance occurs in emphysema, large bullae, or pneumothorax. The percussion note is described as stony dull over a pleural effusion, and dull over areas of consolidation, collapse, pleural thickening, or fibrosis. Dullness at the base may be due to a raised diaphragm.